Followings are the symptoms of carcinoid symptoms  a) Wheezing  b) Flushing  c) Cyanosis  d) Clubbing  e) Diarrhoea
1. abe
2. ab
3. ac
4. bc

Correct answer: 1. abe